CSF with raised protein and low glucose is seen in all except:
1. Tuberculous meningitis.
2. Bacterial meningitis.
3. Viral meningitis.
4. Malignant meningitis.

Correct answer: 3. Viral meningitis.

Explanation: CSF with raised protein and low glucose is seen in:

Tuberculous meningitis (also lymphocytic)
Bacterial meningitis
Malignant meningitis

In viral meningitis the glucose and protein content is normal